Hyperplastic arteriolitis with necrotizing aeriolitisis seen in?
1. Wegner's granulomatosis
2. Benign hypertension
3. Buerger's disease
4. Malignant hypertension

Correct answer: 4. Malignant hypertension

Explanation: Hyperplastic arteriolosclerosis is more typical of severe hypertension. Vessels exhibit "onion skin" ."concentric, laminated thickening of arteriolar walls and luminal narrowing . The lamination consists of smooth muscle cells and thickened , re duplicated basement membrane . In malignant hypertension these changes are accompnied by fibrinoid deposits and vessels wall necrosis . Prominent in kidney Robbins 9th edition page no. 334